Not true about hereditary spherocytosis
1. Defect in ankyrin
2. Decreased MCV
3. Decreased MCHC
4. Reticulocytosis

Correct answer: 3. Decreased MCHC

Explanation: Ans. is 'c' i.e., Decreased MCHC